Simplest measure of mortality ?
1. Crude death rate
2. Case fatality rate
3. Proportional mortality rate
4. Specific death rate

Correct answer: 1. Crude death rate

Explanation: Ans. is 'a' i.e., Crude death rate o The simplest measure of mortality is the crude death rate.